Micro dosing studies done in which phase of clinical trials?
1. 0
2. 1
3. 2
4. 3

Correct answer: 1. 0

Explanation: Ans. is 'a' i.e., 0 Phase 0 - Microdosing strategy in clinical trials Drug development is an activity that is long, complex and expensive. The concept of microdosing involves the use of extremely low, nonpharmacologically active doses of a drug to define the pharmacokinetic profile of the medication in human subjects. Microdosing, thus, appears as a new viable concept in the 'toolbox' of the drug development activity.